Which of the following is not a phospholipid
1. Sphingomyelin
2. Cephalin
3. Cerebroside
4. Cardiolipin

Correct answer: 3. Cerebroside

Explanation: Cerebroside is a Glyolipid. It doesn't contain phosphate group.